Adjuvant given along with antigens are going to
1. increase toxigenicity
2. increase antigenicity
3. reduce the antigenicity
4. reduce the toxigenicity

Correct answer: 2. increase antigenicity